Post anesthetic mucsle soreness is caused by
1. Gallamine
2. d-TC
3. Suxamethonium
4. Dantrolene

Correct answer: 3. Suxamethonium

Explanation: C i.e. Suxamethonium